A mandibular dental infection which exists the
buccal cortical plate above the muscle attachment will cause abscess of
1. Buccal space
2. Masseter space
3. Vestibular sulcus
4. Masticatory space

Correct answer: 3. Vestibular sulcus